The middle cardiac vein is located at the -
1. Anterior interventricular sulcus
2. Posterior interventricular sulcus
3. Posterior AV groove
4. Anterior AV groove

Correct answer: 2. Posterior interventricular sulcus

Explanation: In Coronary sulcus
-        Great cardiac vein, small cardiac vein, coronary sinus, right coronary artery, left circumflex artery
 In anterior interventricular sulcus
-        Great cardiac vein, left anterior descending artery
 In posterior interventricular sulcus
-        Middle cardiac vein, posterior interventricular branch of right coronary artery